The receptors giving to signals that bring about Hering-Breuer inflation reflex are
1. Proprioceptors
2. 1 receptors
3. Pain receptors
4. Stretch receptors

Correct answer: 4. Stretch receptors

Explanation: The Hering-Breuer inflation reflex, named for Josef Breuer and Ewald Hering, is a reflex triggered to prevent over-inflation of the lung. Pulmonary stretch receptors present on the wall of bronchi and bronchioles of the airways respond to excessive stretching of the lung during large inspirations Ref: guyton and hall textbook of medical physiology 12 edition